Organism showing marked resistance to multidrug therapy -
1. Haemophilus ducreyi
2. Calymmatobacterium granulomatosis
3. Gonococci
4. Treponema pallidum

Correct answer: 3. Gonococci